How many Golgi tendon organs are there for every 100 muscle fibers?
1. 90-100
2. 70-90
3. Oct-40
4. 0-10

Correct answer: 4. 0-10

Explanation: 0-10 REF: Ganong 22nd edition chapter 6, http://kin450- neurophysiology.wikispaces.com/Golgi+Tendon+Organs Each Golgi tendon organ consists of a capsule of 3-25 extrafusal fibers located within the Musculo-tendinous junction (embedded in the muscle). At one end it is connected in-series to multiple muscle fibers (ten to twenty-five per tendon organ), while the other end attaches in-parallel to the collagenous fibers of the tendon. There are two types of collagen fibers that make up the GTO: densely packed and loosely packed. The fibers that make up the outside of the capsule are densely packed and are organized in parallel, whereas the fibers within the capsule are loosely packed and convoluted. There are 10-25 muscle fibers per Golgi tendon organ i.e. For every 100 muscle fiber there will be 4-10 Golgi tendon organs.